Energy is required in which transport process, across cell membrane -
1. Osmosis
2. Facilitated diffusion
3. Active transport
4. Simple diffusion

Correct answer: 3. Active transport

Explanation: Ans. is kc' i.e.. Active transport Types of transport across cell membrane Carrier protein involvedEnergy requiredConcentration gradientSimple diffusionNoNoAlong (Down hill)Osmosis (Diffusion of H30)NoNoAlong (Down hill)Facilitated diffusionYesNoAlong (Down hill)Active transportYesYesAgainst (Uphill)ExocytosisNoYesN/A (not applicable)Endocytosis# Pinocytosis & PhagocytosisNoYesN/A# Receptor mediated endocytosisYesYesN/A